Most sensitive and specific test for diagnosis of iron deficiency is:
1. Serum iron level
2. Serum ferritin levels
3. Serum transferrin receptor populations
4. Transferrin saturation

Correct answer: 2. Serum ferritin levels

Explanation: b. Serum ferritin levels(Ref: Nelson's 20/e p 2323-2325, Ghai 8/e p 334-335)Low serum ferritin level invariably indicates iron deficiency and hence it is the most specific and sensitive test for iron deficiency anemia.